Which of the following lipid soluble vitamin acts as an antioxidant?
1. Vitamin D
2. Vitamin E
3. Vitamin K
4. Vitamin C

Correct answer: 2. Vitamin E

Explanation: Vitamin Functions Deficiency Disease E Antioxidant, especially in cell membranes roles in cell signaling Extremely rare--serious neurologic dysfunction Reference: Harper; 30th edition; Page no: 550